Egg on side appearance is seen in –
1. Fallot's tetralogy
2. Transposition of great vessels
3. Ebstein's anomaly
4. Ventricular septal defect

Correct answer: 2. Transposition of great vessels